A patient has small, oval multiple ulcers in oral cavity with red erythematous margins. The diagnosis is:
1. Carcinoma
2. Tubercular ulcer
3. Aphthous ulcer
4. Syphilitic ulcer

Correct answer: 3. Aphthous ulcer

Explanation: Aphthous ulcer Small and oval multiple ulcers in oral cavity Has red erythematous margins Syphilitic ulcer Firm, painless, non-itchy skin ulceration Tubercular ulcer Firm, nontender erythematous nodules that soften, ulcerate, and form sinuses.